Lumbar sympathectomy is of value in the management of
1. Intermittent claudication
2. Distal ischaemia affecting the skin of the toes
3. Arteriovenous Fistula
4. Back pain

Correct answer: 2. Distal ischaemia affecting the skin of the toes

Explanation: . Ans: b (Distal ischemia affecting the skin of toes) (Ref. Textbook of surgery by S. Das-3rd ) - Indications for sympathectomy: 1. Circulatory insufficiency of the limbs (Limb warms, pain reduces and ulcers may show signs of regression) o Atherosclerosis (with rest pain, impending gangrene of toes) o Raynaud's Syndrome (temporary relief) o Buerger's disease 2. Hyperhidrosis 3. Causalgia